Corneal dystrophy associated with acid mucopolysaccharidosis is:
1. Lattice
2. Granular
3. Macular
4. Peripheral

Correct answer: 3. Macular

Explanation: Ans. Macular